Chromosomal translocation seen in CML is?
1. 2:08
2. 8:14
3. 9:22
4. 15:17

Correct answer: 3. 9:22

Explanation: In more than 90% of CML cases , BCR-ABL is created by a reciprocal (9;22) (q34;q11) translocation , the so called Philadelphia chromosome is seen. Ref: Robbins and Cotran Pathologic basis of disease.South Asia Edition volume 1.page no. 617